All of the following agents are used in obesity except:
1. Orlistat
2. Sibutramine
3. Olestra
4. Neuropeptide Y analogues

Correct answer: 4. Neuropeptide Y analogues

Explanation: Ans. (D) Neuropeptide Y analogues(Ref: KDT 6th/e p130-131)Drugs used for the treatment of obesity are:FenfluramineDexfenfluramineSibutramine (serotonin and NA reuptake inhibitor)Orlistat (Pancreatic lipase inhibitor)Sucrose polyester (olestra)Neuropeptide Y antagonistsb3 agonists